A young patient sustains cardiac arrest, in the medical ward. Immediate defibrillation is advised when the ECG shows:
1. Ventricular Tachycardia
2. Asystole
3. Electromechanical dissociation
4. Persistant Bradyarrhythmia

Correct answer: 1. Ventricular Tachycardia

Explanation: Answer is A (Ventricular Tachycardia) Defibrillation is indicated when cardiac arrest occurs secondary to ventricular fibrillation or pulseless ventricular tachycardia (shockable rhythms)